True about transient tachypnoea of new born is –
1. Air bronchogram seen
2. Common in preterm infants
3. Interlobar fissure effusion
4. Respiratory distress resolves in 6–10 days

Correct answer: 3. Interlobar fissure effusion